Mikulicz cells are present in:
1. Rhinoscleromatis
2. Sarcoidosis
3. Wegener's granulomatosis
4. None of the above

Correct answer: 1. Rhinoscleromatis

Explanation: Rhinoscleroma presents with three typical stages: (1) catarrhal, with nonspecific rhinitis; (2) proliferative, which consists of a granulomatous reaction and the presence of Mikulicz cells; and (3) cicatricial, with mucosal fibrosis.